Most common true benign tumor of the bone is -
1. Giant cell tumor
2. Simple bone cyst
3. Osteoid osteoma
4. Enchondroma

Correct answer: 3. Osteoid osteoma

Explanation: Commonest benign tumor of bone -----osteochondroma Commonest true benign tumor of bone -----osteoid osteoma Refer Maheshwari 6th/e p 247